Which of the following statements about changes in articular cartilage with aging is not true -
1. Total proteoglycan content is decreased
2. Synthesis of proteoglycans is decreased
3. Enzymatic degradation of proteoglycans is increased
4. Total water content of cartilage is decreased

Correct answer: 3. Enzymatic degradation of proteoglycans is increased

Explanation: Normal aging Vs osteoarthritic pathology of articular cartilage

Normally, many morphological changes take place as the articular cartilage undergoes aging.
Though aging is the most important risk factor for developing OA, many of the changes that occur with normal aging of articular cartilage are different from those seen in osteoarthritis.